Mouth breathing is an example of
1. Compulsive habit
2. Non pressure habit
3. Meaningful habit
4. Useful habit

Correct answer: 2. Non pressure habit

Explanation: Non pressure habits are habits, which do not apply a direct force on the teeth or its supporting structure. Mouth breathing is an example of non pressure habit.